Which of the following is/are not feature of Turner syndrome:
1. Tall stature
2. Associated with celiac disease
3. 45X0 karyotype
4. 45XO/46XY karyotype

Correct answer: 1. Tall stature

Explanation: A. Tall stature'Celiac disease is also associated with diabetes mellitus type 1, IgA deficiency, Down syndrome, and Turner's syndrome1 -Harrison 19th/1942 "Turner's syndrome affects around 1 in 2500 females. It is classically associated with a 45X0 karyotype but other cytogenetic abnormalities may be responsible, including mosaic forms (e.g. 45XO/46XX or 45XO/46XY) and partial deletions of an X chromosome"- Davidson 22nd/ 765Fig. 3 (Davidson 22nd/ 765): Clinical features of Turner's syndrome (45X0) (IGT = impaired glucose tolerance)